Which among the following is false regarding rheumatic heart disease?
1. May cause CHF
2. Pulmonary valve is most commonly affected
3. Affects young people
4. Varying degree of pancarditis observed

Correct answer: 2. Pulmonary valve is most commonly affected

Explanation: Rheumatic fever is principally a disease of childhood, with a median age of 10 years. Acute rheumatic fever may develop varying degrees of pancarditis with associated valve insufficiency, heart failure, pericarditis, and even death. With chronic rheumatic heart disease, patients develop valve stenosis with varying degrees of regurgitation, atrial dilation, arrhythmias, and ventricular dysfunction. Chronic rheumatic heart disease remains the leading cause of mitral valve stenosis and valve replacement in adults. The mitral valve is most commonly and severely affected (65-70% of patients), and the aortic valve is second in frequency (25%). The tricuspid valve is deformed in only 10% of patients and is almost always associated with mitral and aortic lesions. The pulmonary valve is rarely affected.